The recent terminlogy for status asthmaticus is
1. Episodic asthma
2. Chronic asthma
3. Acute asthma
4. Severe actute asthma

Correct answer: 4. Severe actute asthma